A 30 year old female, married since one year, present to the psychiatry clinic with hyperactivity since 2 weeks. A diagnosis of mania is made. She had 3 prior episodes of mania in last 5 years and every time after taking medication she goes to premorbid state. Her urine pregnancy test is positive. Which is the preferred drug for management of this patient?
1. Promethazine
2. Haloperidol
3. Clonazepam
4. Lithium

Correct answer: 2. Haloperidol

Explanation: *Benzodiazepine plus lithium is drug of choice for acute mania. However both of them are avoided in pregnancy because of teratogenic effects. *Antipsychotics are preferred drugs for mania in pregnancy. Atypical antipsychotics like olanzapine are preferred over typical antipsychotics like haloperidol. *As olanzapine is not in the option, next best answer to choose is haloperidol. REF: KATZUNG 14TH ED.